Which of the following is present in the plasma but absent in the serum?
1. Albumin
2. Globulin
3. Lecithin
4. Fibrinogen

Correct answer: 4. Fibrinogen